Clinical featues of sixth nerve palsy is:
1. Convergent squint
2. Divergent squint
3. Limitation in upward movement
4. Limitation in downward movement

Correct answer: 1. Convergent squint

Explanation: Ans. is 'a' i.e Convergent SquintQuite obviously in 6th C.N i.e Abducens palsy supplying Lateral rectus ms the eye would deviate medially because of unopposed action of medial rectus resulting in convergent squint.